In Crohn's disease NOT seen is
1. ASCA+
2. Skip lesions
3. Endomycelial antibodies
4. Cobblestone appearance

Correct answer: 3. Endomycelial antibodies

Explanation: (C) Endomycelial antibodies # Pathological features of Crohn's disease: Starts in terminal ileum as ulcerations of intestines in 60% cases inflammatory edema with mucosal ulcers& fibrotic thickening results in hose pipe rigidity Mesenteric nodes are enlarged & calcified Intense infiltration of mononuclear Skip areas Caseation is absent Stricture causing obstruction